Combined oral pills protect the woman against all except -
1. Menorrhagia
2. Benign breast disease
3. Pelvic inflammatory disease
4. Venous thromboembolism

Correct answer: 4. Venous thromboembolism

Explanation: Ans. is 'd' i.e., Venous thromboembolism